Most com mon neuropathy in DM is -
1. Distal symmetric neuropathy
2. Autonomic neuripathy
3. Mononeuropathy
4. Amyotrophy

Correct answer: 1. Distal symmetric neuropathy

Explanation: Ans. is 'a' i.e,, Distal symmetric neuropathy o Diabetic neuropathy may manifest as polyneuropathy, mononeuropathy and autonomic neuropathy. but the most common form of diabetic neuropathy is distal symmetric polyneuropathyQ.